Fat ring sign is positive in?
1. Mesenteric panniculitis
2. Lymphoma
3. Carcinoid
4. Desmoid tumor

Correct answer: 1. Mesenteric panniculitis

Explanation: Ans AFat ring signQ is preservation of fat around the mesenteric vessels and around soft tissue nodules on a background of fat stranding in mesenteric panniculitis or mesenteric lipomas. Also known as a fat halo sign